The most common level of thyroglossal cyst is:
1. Lingual
2. Infra-Lingual (caecum)
3. Supra-hyoid
4. Infra-hyoid

Correct answer: 4. Infra-hyoid